Chlorhexidine as a root canal irrigant is
1. Active against gram +ve , gram –ve bacterias and to some extent Virus with lipid envelop.
2. Normally used at 2% conc
3. A poly biguinide
4. All of the above

Correct answer: 4. All of the above